True about VDRL test -
1. Non - specific
2. Slide flocculation test
3. Best followed for drug therapy
4. All

Correct answer: 4. All